Least cardiovascular side effects found in –
1. Isoflurane
2. Enflurane
3. Trilene
4. Ketamine

Correct answer: 1. Isoflurane